All the following are trace elements required by body except
1. Zinc
2. Copper
3. Selenium
4. Boron

Correct answer: 4. Boron

Explanation: Major elements. Trace elements 1. Calcium. 1. Iron 2. Magnesium. 2. Iodine 3. Phosphorus. 3. Copper 4. Sodium. 4. Manganese 5. Potassium. 5. Zinc 6. Chloride. 6. Molybdenum 7. Sulfur. 7. Selenium 8. Fluoride.Ref: DM Vasudevan, page no: 411